A patient has a GFR of 100 ml/min, her urine flow rate is 2.0 ml/min, and her plasma glucose concentration is 200 mg/100 ml. If the kidney transport maximum for glucose is 250 mg/min, what would be her approximate rate of glucose excretion?
1. 0 mg/min
2. 50 mg/min
3. 100 mg/min
4. 150 mg/min

Correct answer: 1. 0 mg/min

Explanation: The filtration rate of glucose in this example is: = GFR x plasma glucose concentration =(100 ml/min) x (200 mg/100 ml, or 2 mg/ml) =200 mg/min. Because the transport maximum for glucose in this example is 250 mg/min, All of the filtered glucose would be reabsorbed and the renal excretion rate for glucose would be zero(0 mg/min).